The most common pulmonary manifestation of SLE is:
1. Pleuritis
2. Pleural effusion
3. Pulmonary hypertension
4. ILD

Correct answer: 1. Pleuritis

Explanation: SLE The most common pulmonary manifestation is pleuritis with or without pleural effusion. Pulmonary infiltrates also occur as a manifestation of active SLE Serious manifestations are: Interstitial inflammation leading to fibrosis Shrinking lung syndrome Intra-alveolar hemorrhage Ref: Harrison, E-18, P-2731.